Lungs are preserved in :
1. Alcohol poisoning
2. HCN poisoning
3. Carbon monoxide poisoning
4. All of the above

Correct answer: 4. All of the above

Explanation: D - All